Hrischsprung disease, marker - used for early diagnosis ?
1. Acetyl cholinesterase
2. Adrenaline
3. VIP
4. None of the above

Correct answer: 1. Acetyl cholinesterase

Explanation: In hirschsprung's disease the severity of the symptoms is not always consistent with the length of the intestinal segment involved and may be related to the number of the acetylcholine esterase positive nerve fibres. confirmation the diagnosis depends upon histological demonatration of aganglionosis and hypertrophic nerve fibres in the nerve plexus in the biopsy.Specimens are usually taken from just above the anorectal junction.one is sent for biochemistry (for acetylcholine esterase)and histopathology Ref : BAILEY AND LOVE'S SHORT PRACTCE OF SURGERY,PG NO:1154, 24th edition